A newborn child shows subconjunctival hemorrhages. What is the next line of management?
1. No treatment
2. Antibiotic eye drops
3. Aspitation
4. Antibiotic and steroid drops

Correct answer: 1. No treatment

Explanation: Ans. is 'a' i.e., No treatment o Repeat from previous sessions